A child develops acute respiratory distress, stridor, hyperinflation on one side of chest with decreased breath sound on that side. Most likely cause is :
1. Asthma
2. Aspiration pneumonia
3. Foreign body aspiration
4. Pleural effusion

Correct answer: 3. Foreign body aspiration

Explanation: Answer is C (Foreign Body Aspiration): Foreign Body Aspiration is an important cause of stridor in. children. Obstruction leads to hyperinflation, chest wall hyperresonance and decreased breath sounds. All the other choices mentioned in the question do not cause stridor.